Ciliary movement rate of nasal mucosa is -
1. 1-2 mm/min
2. 2-5 mm/min
3. 5-10 mm/min
4. 10-12 mm/min

Correct answer: 3. 5-10 mm/min